Portwine stain disappears after
1. 1 Year
2. 2 Years
3. 5 Years
4. None of the above

Correct answer: 4. None of the above

Explanation: Portwine stain is a vascular malformation that usually doesn't resolve and persists throughout life.
It is associated with Sturge - Weber syndrome.